Trotter and Glesser formula is used for ?
1. Cephalic index
2. Stature
3. Race
4. Age

Correct answer: 2. Stature

Explanation: Ans. is 'b' i.e., StatureLength of long bones is measured by osteometric board (Hepburn osteometric board modified by Trevor), not tapes or calipers as it is not accurate.It is then multiplied by a factor to obtain the stature according to Pearson's formula and Trotter's and Glesser's formula.